Maximum voluntary ventilation is -
1. 25 L/min
2. 50 L/min
3. 100 L/min
4. 150 L/min

Correct answer: 4. 150 L/min

Explanation: Ans. is 'd' i.e., 150 L/min Pulmonary Ventilation/Respiratory Minute Volume (RMV) (RMV = TV x RR)6000ml (6L) =500 x 12The amount of air breathed in and out of lungs every minute. It is product of tidal volume (TV) and respiratory rate (RR). RMV=TVXRRMaximal Voluntary Ventilation (MW) Maximal breathing capacity125-170 L-'minThe maximum amount of air which can be breathed in and out of lungs by forceful respiration in one minute.Alveolar ventilation = (TV - Dead space volume) x RR4.2 litersThe amount of air utilized for gaseous exchange every minute.Total dead space/physiological dead space= Anatomical dead space + Alveolar dead space * In normal adult Physiological dead space = Anatomical dead spaceo Anatomical dead space - The conducting part where gaseous exchange does not take place. It is volume of respirator}.' tract from nose up to terminal bronchiole. It is 150mLo Alveolar dead space -Those alveoli which are non functioning and those which do not receive adequate blood flow.Closing volumeThe lung volume, at which, no further air can be expelled by expiratory effort.